Which is not a feature of primary hyperaldosteronism:
1. Hypokalemia
2. Hypertension
3. Hypernatremia
4. Increased rennin level

Correct answer: 4. Increased rennin level

Explanation: Answer is D (Increased Renin levels): Primary Aldosteronism (Conn's syndrome) is characteristically associated with low resin levels and not increased renin levels. Hypokalemia, Hypertension and Hypernatremia are characteristic features of Conn's syndrome.